H. Pylori does not cause -
1. Gastric ulcer
2. Duodenal ulcer
3. Lymphoma
4. Leiomyoma

Correct answer: 4. Leiomyoma